Mantle cell lymphoma are positive for all of the following except:
1. CD 23
2. CD 20
3. CD 5
4. CD 19

Correct answer: 1. CD 23

Explanation: Parameter CLL MCL SMZL/SL VL HCL FL PLL CD5 + + - - - - CD10 - -/+ - - + -/+ CD11c -/+ -/+ + + - + CD19 + + + + + + CD20 +(dim) +(bright) +(bright) +(bright) +(bright) +(bright) CD23 + -/+ -/+ - -/+ - CD79b - + - -/+ + + FMC7 - + + + + + Smlg +(dim) +(bright) +(bright) +(bright) +(bright) +(bright) CLL: Chronic lymphocytic leukemia ; MCL: Mantle cell lymphoma; SMZL/SL VL: Splenic marginal zone lymphoma/splenic lymphoma with villous lymphocytes; HCL: Hairy cell leukaemia; FL: Folliculsr lymphoma;